Fine touch and rapidly adapting receptor is
1. Meissners corpuscle
2. Merkel' s disc
3. Pacinian corpuscle
4. Ruffini's nerve ending

Correct answer: 1. Meissners corpuscle

Explanation: Tactile corpuscles (or Meissner's corpuscles) are a type of mechanoreceptor. They are a type of nerve ending in the skin that is responsible for sensitivity to light touch. In particular, they have highest sensitivity (lowest threshold) when sensing vibrations between 10 and 50 Hertz. They are rapidly adaptive receptors. They are most concentrated in thick hairless skin, especially at the finger pads.Ref: Ganong's review of medical physiology 23rd edition Page no: 150